Enolase is inhibited by -
1. Fluoride
2. Fumarate
3. lodoacetaie
4. Arsenite

Correct answer: 1. Fluoride

Explanation: Ans. is 'a' i.e., Fluoride In glycolysiso Fluoride inhibitso lodoacetate inhibitso Arsenite inhibits- Enclose- Glvceroldehyde 3-phosphate dehydrogenase.- Phosphoglycerate kinaseIn TCA cycleo Fluoroacetate inhibits aconitase non-competitively.o Arsenite inhibits a-ketoglutarate dehydrogenase non-competitively.o Malonate inhibits succinate dehydrogenase competitively.o This question has been asked either directly or indriectly in all exams,